Leukocyte alkaline phosphate is increased in all, except
1. Polycythemia vera
2. CML
3. Myelofibrosis
4. Myeloid metaplasia

Correct answer: 2. CML

Explanation: Answer is B (CML): Leucocyte Alkaline phosphatase is decreased in CML (chronic myeloid leukemia) PNH (Paroxysmal nocturnal hemoglobinuria)